Which one is at the top of food pyramid:
1. Fats and oils
2. Fruits
3. Vegetables
4. Pulses

Correct answer: 1. Fats and oils

Explanation: Ans. A i.e. Fats and oils Food pyramid The bottom of the pyramid, the biggest part, is the Bread, Cereal, Rice and Pasta Group. This pyramid shows that this should be taken in most servings per day. The top part, the Fats, Oils and Sweets Group is the smallest. This shows that we shouldn't have too much fat or oil in our diet.